The small nonparticulate protein leading to enhanced replication of HBV as well as HIV is
1. HBc Ag
2. HBs Ag
3. Hbe Ag
4. HBx Ag

Correct answer: 4. HBx Ag